Hypertrophy of the sebaceous glands in the nasal skin is called-
1. Rhinophyma
2. Rhinodporidiosis
3. Rhinolith
4. Rhinorrhoea

Correct answer: 1. Rhinophyma

Explanation: Ans. is 'a' i.e., Rhinophyma o Rhinophyma is large, bulb-shaped, red-colored (ruddy) nose. It is a slow growing benign tumor due to hypertrophy of the sebaceous glands.o Has been explained in previous sessions.